Cherry red postmortem staining is seen in?
1. CO
2. Putrefaction
3. Arsenic poisoning
4. Postmortem

Correct answer: 1. CO

Explanation: Ans. (A). COCause of Death (Poisonings) can be determined by the colour of PM staining.NormalBlue purplishCarbon monoxideCherry redCyanideBright Red/ Brick redQHypothermia/ RefrigerationNitrate/ aniline/PinkPotassium chlorateChocolate BrownSeptic abortionBronzeHydrogen sulphideBluish Green